Human papilloma virus is a:
1. RNA virus
2. DNA virus
3. Both
4. None

Correct answer: 2. DNA virus

Explanation: Ref: Microbiology by Ananthanarayan and Paniker, 8th ed. pg. 549* Human papillomavirus (HPV) is a DNA virus from the papovavirus family that is capable of infecting humans.* Usually it causes no symptoms in most people, but some types can cause warts (verrucae), while others can in a minority of cases lead to cancers of the cervix, vulva, vagina, penis, oropharynx and anus.* HPV has been linked with an increased risk of cardiovascular disease.* In addition, HPV 16 and 18 infections are a cause of a unique type of oropharyngeal (throat) and cervix cancer.DNA and RNA virusDNA virusRNA virus* Pox virus: largest virus* Parvovirus: smallest virus* Adenovirus* Papovavirus* Hepadna virus* Herpesvirus* Rotavirus: only double stranded RNA virus* Orthomyxovirus* Reovirus* Buniya virus* Arena virus* Hepatitis A, C, D, E virus* Picorna, polio, cocksackie, echo and entero virus.